Oedipus complex has been described by
1. Plato
2. Socaes
3. Freud
4. Huxley

Correct answer: 3. Freud

Explanation: Contributor: Freud, Sigmund (1856-1939) Coined the Term: Free association, Psychoanalysis, Psychodynamics, Oedipus complex, Electra complex, Penis envy, Primal scene, Ego defence mechanisms, Repression, Psychological determinism, Pleasure principle, Reality principle Special Mention: Founder of psychoanalysis; some of the significant contributions include: interpretation of dreams, theory of infantile sexuality, structural and topographical model of mind, theory of instincts, psychopathology of everyday life and stages of psychosexual development Ref: A Short Textbook of Psychiatry, Niraj Ahuja, 7th Edition, pg. no.243